Genetic deficiencies of NADPH oxidase cause
1. Mitochondrial. myopathies
2. Chronic granulomatous diseases
3. Decreased ATP production
4. Lactic acidosis

Correct answer: 2. Chronic granulomatous diseases